Which of the following is the MOST common tumour of lower eyelid?
1. Sebaceous Ca
2. BCC
3. SCC
4. Malignant melanoma

Correct answer: 2. BCC

Explanation: Basal cell carcinoma (BCC) arises from pluripotent stem cells within the basal layers of the epidermis and external root sheaths of hair follicles. It comprises about 90% of all eyelid malignancies. The incidence of basal cell carcinoma of the eyelid skin increases with age and there is a slight male preponderance. Clinically, it typically manifests as a firm painless indurated nodule with a pearly, rolled border and fine (small) telangiectatic surface vessels. 65% of cases occur in the lower eyelid. Treatment consists of complete surgical excision. Ref: Vagefi M., Sullivan J.H., Correa Z.M., Augsburger J.J. (2011). Chapter 4. Lids & Lacrimal Apparatus. In P. Riordan-Eva, E.T. Cunningham, Jr. (Eds), Vaughan & Asbury's General Ophthalmology, 18e.